Genital was are most commonly caused by which of the following serotypes of IHPV?
1. HPV 6
2. HPV 16
3. HPV 18
4. HPV 33

Correct answer: 1. HPV 6

Explanation: WAS:- Caused by human papilloma virus. Anogenital was caused by HPV 6,11,16,18,31,33. Out Of these 6 is mostly involved. These virus invade squamous epithelium and trigger cell proliferation. Viruses mainly being transmitted by fomites ,scratching, and auto inoculation. {Reference: IADVL textbook of dermatology, vishalakshi Vishwanath pg no.67.}